A young girl on antidepressant therapy presented to emergency with palpitations, altered sensorium and hypotension. There is wide QRS interval and right axis deviation in ECG. Next best step in the management of this patient is:
1. Physostigmine
2. NaHCO3
3. Dialysis
4. Flumazenil

Correct answer: 2. NaHCO3

Explanation: *The clinical features and ECG findings typically suggest a diagnosis of tricyclic antidepressant (TVA) poisoning. *Antidote for TCA poisoning is sodium bicarbonate *Hemodialysis is not effective is TCA poisoning REF: HARRISONS 20TH ED.